Ethosuximide can be used for the treatment of:
1. Generalized tonic clonic seizures
2. Absence seizures
3. Complex seizures
4. Myoclonic seizures

Correct answer: 2. Absence seizures

Explanation: *Ethosuximide is a narrow spectrum anti-epileptic drug mainly used for absence seizures. REF: KATZUNG 14TH ED.